Which muscle is innervated by a branch of the ansa cervicalis?
1. Sternocleidomastoid
2. Platysma
3. Sternohyoid
4. Trapezius

Correct answer: 3. Sternohyoid

Explanation: The sternohyoid muscle is one of the strap muscles which runs from the manubrium and the sternal end of the clavicle to the hyoid bone. It is innervated by the ansa cervicalis, and it depresses and stabilizes the hyoid bone. Platysma is a muscle of facial expression; it is innervated by the cervical branch of CN VII, the facial nerve. Sternocleidomastoid and trapezius are both innervated by the accessory nerve (CN XI). Sternocleidomastoid receives fibers from C2 and C3 for proprioception, while trapezius receives proprioceptive fibers from C3 and C4.